The most common sequelae of tuberculous spondylitis in an adolescent is
1. Fibrous ankylosis
2. Bony ankylosis
3. Pathological dislocation
4. Chronic osteomyelitis

Correct answer: 2. Bony ankylosis

Explanation: Fibrous ankylosis is seen in healed tubercular joints. Bony ankylosis is seen in healed tubercular spine.